Positional vertigo is
1. Lateral
2. Superior
3. Inferior
4. Posterior

Correct answer: 4. Posterior

Explanation: The disease is caused by the disorder of posterior semicircular canal. Otoconial debris when settles in the cupula of the posterior semicircular canal in a critical head position causes displacement of cupula and vertigo. (Ref: Diseases of EAR, NOSE AND THROAT by PL DHINGRA - 6th Edition)